Acute myocardial infarct scintigraphy is done with:
1. Thallium
2. Gallium
3. Neodymium
4. Tc99m stannous pyrophosphate

Correct answer: 4. Tc99m stannous pyrophosphate

Explanation: Ans. D. Tc99m stannous pyrophosphatea. Myocardial infraction imaging with tc-pyrophosphate has a sensitivity of at least 85% for detection of MI when performed 1-3 days after event.b. Specificity is lower.c. In clinical practice, this technique is not used commonly but can be useful in doubt.d. Antimyosin antibodies labeled with indium has been used and has high sensitive and specificity.e. Tc labeled glutaric is introduced recently which overcome limitation of 99m TC pyrophosphate and indium-11 labeled antimyosin.